A 3yr old child ingested multiple tablets of metoprolol, is presented with following conditions except?
1. Widened QRS complexes
2. Feeble pulse
3. Tachycardia
4. Prolonged AV conduction times

Correct answer: 3. Tachycardia

Explanation: Clinical features of b blocker (Metoprolol) poisoning:- Hypotension- Prolonged AV conduction times- Widened QRS complexes- Bradycardia- Decreased contractility (Feeble pulse)